A four year old child presents with mild fever, malaise, prupura, arithritis, abdominal pain and microscopic hematuria. What would be the most likely diagnosis
1. Thrombasthenia
2. Idiopathic thrombocytopenic
3. Systemic Lupus Erythematosus
4. Henoch-Schonlein purpura

Correct answer: 4. Henoch-Schonlein purpura

Explanation: .Henoch-Schonlein purpura (HSP) is a disease involving , and/or related Reference: GHAI Essential pediatrics, 8th edition